Derivatives of mullerian duct -
1. Epididymis
2. Seminal vesicle
3. Vas deferens
4. Fallopian tube

Correct answer: 4. Fallopian tube

Explanation: Ans. is 'd' i.e., Fallopian tube o Appendix of testis - Remnant of cranial end of paramesonephric (mullerian) duct,o Appendix of epididymis - Remnant of cranial end of mesonephric (Wolffian) duct.MESONEPHRIC DUCT (WOLFFIAN DUCT): Main genital duct in malesIn malesIn females (mostly degenerate except)o Posterior wall of prostatic urethra proximal to opening of ejaculatory ducto Ureteric bud gives rise to ureter; pelvis, calyces and collecting tubuleso Trigone of bladdero Vas deferens, ejaculatory ducto Epididymis, seminal vesicleo Appendix of epididymiso Mesodermal part of prostateo Posterior wall of urethrao Ureteric bud gives rise to ureter, pelvis, calyces and collecitng tubuleso Trigone of bladdero Duct of epophoron (Gartner's duct)MESONEPHRIC TUBULESIn malesIn femaleso Ductus aberrant superioro Efferent ductules of testiso Ductus aberrant inferioro Epoophorono ParaphoronNote: Epoophoron is a remnant of mesonephric tubules, while duct of epoophoron is derived from mesonephric duct. PARAMESONEPHRIC DUCT (MULLERIAN DUCT): Main genital duct in femalesFemalesMaleso Fallopian tubeso Uteruso Upper 2/3 of vaginao Appendix of testis (Hydatid of morgagni)o Prostatic utricleNote: Lower 1/3 of vagina is derived from sin ovaginal bulb derived from urogenital sinus. Therefore is endodermal in origin (upper 2/3 is mesodermal in origin as derived from paramesonephric duct).